All of the following antibiotics are 50S inhibitors, EXCEPT
1. Chloramphenicol
2. Erythromycin
3. Linezolid
4. Streptomycin

Correct answer: 4. Streptomycin

Explanation: Antibiotics: 30S inhibitors: 50S inhibitors: Aminoglycosides (Streptomycin) Chloramphenicol Tetracycline Erythromycin Linezolid Memory aid: Buy AT 30 CELL at 50